In erythropoiesis:
1. Size of the cells increases in subsequent stages
2. Haemoglobin appears at early normoblast stage
3. Mitosis occurs in the late normoblast at the fastest rate
4. Folic acid is useful as a maturation factor

Correct answer: 4. Folic acid is useful as a maturation factor